Laboratory diagnosis of thalassemia major are all except :
1. Normal ferritin level
2. Normal TIBC
3. Microcytic hypochromic anemia
4. High saturation percentage

Correct answer: 1. Normal ferritin level